Vitamin K dependent clotting factors include all EXCEPT:
1. Factor VII
2. Factor VIII
3. Prothrombin
4. Facor IX

Correct answer: 2. Factor VIII

Explanation: ANSWER: (B) Factor VIIIREF: Ganong 19th edition page 520VITAMIN K DEPENDENT CLOTTING FACTORS ARE:Factor II (Prothrombin)Factor VII (Proconvertin/Stable factor)Factor IX (Christmas factor/ Antihemophilic Factor B)Factor X (Stuart Prower factor)Protein CProtein SNOTE' Clotting factors inhibited by Antithrombin III are: Factor IX, X, XI & XII